All are unique features of WHO growth charts 2006 except
1. Breast fed infants as normative growth model
2. Sample collection from 6 states in the US
3. Includes new indicators such as skinfold thickness
4. Reiterates children grow similarly all over the world.

Correct answer: 2. Sample collection from 6 states in the US

Explanation: WHO growth charts are based on multicentre growth reference study( MGRS) conducted in 6 countries all over the world. Brazil Norway Ghana Oman US India Ref: Nelson's ,20th edition, Page 84-89